Synthesis of rRNA place in
1. Cytosol
2. Nucleus
3. Nucleolos
4. Mitochondria

Correct answer: 3. Nucleolos

Explanation: Molecules of rRNA are synthesized in a specialized region of the cell nucleus called the nucleolus, which appears as a dense area within the nucleus and contains the genes that encode rRNA. Ref-D.M.Vasudevan 7/e p572